Antiprogestin used for emergency contraception is:
1. Mifepristone
2. Misoprostal
3. Methotrexate
4. Nor ethisterone

Correct answer: 1. Mifepristone

Explanation: Ref: Shaw \s Textbook of Gynaecology 15th Edition Pg: 237Explanation:Mifepristone (RU 486)It is an anti-progesterone which blocks the action of progesterone on the endometrium and causes sloughing and shedding of the decidua.Failure rate - 0.9%Other drugs that can be given for emergency contraception:Yuzpe regime: ethinyl estradiol 0.1 mg + dl- norgestrel I mg x 2 doses 12 hours apart starting within 72 hrs of unprotected intercourse.Levonorgestrol 0.75 mg x 2 doses 12 hours apart or 1.5 mg single doseIL'CD within 5 days of intercourse.